The burrows in scabies is in the -
1. Stratum basale
2. Stratum granulosum
3. Stratum corneum
4. Dermis

Correct answer: 3. Stratum corneum

Explanation: Scabies mite burrows into Stratum corneum. These are visible clinically as irregular grey-brown lines.